Pancytopenia with hypocellular bone marrow seen in:
1. Fanconi's anemia
2. Paroxysmal nocturnal hemoglobinuria
3. Hairy cell leukemia
4. Myelopthisis

Correct answer: 1. Fanconi's anemia

Explanation: a. Fanconi's anemia(Ref: Nelson's 20/e p 2362-2371, Chai 8/e p 345-347)Fanconi's anemia shows pancytopenia with hypocellular bone marrow while others in the options cause hypercellular bone marrow.